Most common paraneoplastic syndrome in HCC is
1. Hypoglycaemia
2. Hypertension
3. Hypercalcemia
4. Erythrocytosis

Correct answer: 1. Hypoglycaemia

Explanation: Paraneoplastic syndromes on HCC Hypercholesterolemia Hypoglycemia Erythrocytosis Hypercalcemia Hypercholesterolemia > Hypoglycemia > Erythrocytosis > Hypercalcemia Ref: Sabiston 20th edition Pgno : 1459